False about anterior Ischeamic optic neuropathy
1. Results from the Occlusion of short anterior ciliary arteries
2. Two forms arteritic and non arteritic
3. Characterized by inferior altitudinal hemianopic field defects
4. All the above

Correct answer: 1. Results from the Occlusion of short anterior ciliary arteries

Explanation: Due to occlusion of short posterior ciliary arteries.